During inspiration the main current of airflow in a normal nasal cavity is through:
1. Middle part of the cavity in the middle meatus in a parabolic curve
2. Lower part of the cavity in the inferior meatus in a parabolic curve
3. Superior part of the cavity in the superior meatus
4. Through olfactory area

Correct answer: 1. Middle part of the cavity in the middle meatus in a parabolic curve

Explanation: During inspiration, the inspiratory air current mainly passes through the middle pail of nasal cavity. It mainly passes through (i) the middle meatus and olfactory cleft close to the medial surface of middle turbinate, and (ii) to a lesser extent above the middle turbinate through the superior meatus and sphenoethmoidal recess.Practically no air current passes through inferior meatus as it gets deflected by its anterior end to anterior end of middle turbinate. Similarly, little air passes through olfactory area hence it requires one to sniff up for air current to reach olfactory area to appreciate smell.During expiration, air currents follow the same path but form eddies at the anterior end of middle turbinate and limen nasi, and thus aerates the middle meatus and paranasal sinuses.Physiology of nasal airflow. A. Inspiration B. Expiration.